Neurotropic fungus is -
1. Trichophyton
2. Microsporum
3. Cryptococcus
4. Sporothrix schenckii

Correct answer: 3. Cryptococcus

Explanation: Ans. is 'c' i.e., Cryptococcus "Cryptococcus is a unique fungus that has a neurotrophic behaviour and often causes CNS disease".* Important Neurotrophic fungi are:i) Cryptococcus neoformisii) Histoplasmaiii) Candidaiv) Aspergillusv) Cladophialophora bantiana